All the following statements about mitral valve prolapse are true except
1. It is more common in females
2. Most patients are symptomatic
3. It has a benign clinical course
4. Transient cerebral ischemic is a know complication

Correct answer: 2. Most patients are symptomatic

Explanation: Ref Harrison 19 th ed pg 1546 Most patients are asymptomatic and remain so for their entire lives. However, in North America, MVP is now the most common cause of isolated severe MR requiring surgical treatment.